Potential Support Ratio (PSR) is defined as:
1. Number of persons aged 15-65 per children below 15 years
2. Number of persons aged 15-65 per one older person aged >/= 65 years
3. Number of person aged 15-65 per one older person aged > 65 and younger person < 15 years
4. Number of persons aged 15-65 persons older person aged > 60 and younger person < 15 years

Correct answer: 2. Number of persons aged 15-65 per one older person aged >/= 65 years

Explanation: PSR =Potential Support Ratio (PSR) is defined as Number of persons aged 15-65 per one older person aged >/= 65 years Gives burden on working population PSR a 1/ Old age dependency ratio